All are absolute contraindication of oral contraceptive pills EXCEPT :
1. Pulmonary hypertension
2. H. mole
3. Breast carcinoma
4. Uterine bleeding

Correct answer: 2. H. mole

Explanation: H. mole